Which of the following drugs cannot cross the blood placental barrier
1. Atropine
2. Glycopyrolate
3. Physostigmine
4. Hyoscine hydro bromide

Correct answer: 2. Glycopyrolate

Explanation: Refer kDT 7/e p116 Glycopyrrolate is a quaternary ammonium compound and is this water soluble and unable to penetrate blood brain barrier